Which of the following leads to development of SIADH?
1. Head trauma
2. Pituitary adenoma
3. Lithium
4. All of the above

Correct answer: 1. Head trauma

Explanation: Causes of SIADH = 1. CNS infection 2. Trauma 3. Meningitis 4. Encephalitis 5. Ectopic Ca tumor Option B: Pit Adenoma = Prolactinoma (increase prolactin), | GH Option C: Lithium = Causes Nephrogenic diabetic insipidus -Manifestation of SIADH- Dilutional Hypernatremia Treatment of SIADH = Vaptan tolvaptan